Method of choice for protein identification
1. Edman technique
2. Mass spectrometry
3. Sanger technique
4. 2-D electrophoresis

Correct answer: 2. Mass spectrometry

Explanation: While the requisite amino acid sequence information can be obtained using the Edman technique, today mass spectrometry (MS) has emerged as the method of choice for protein identification.
Ref: Harper’s illustrated biochemistry. 30th edition page no: 30